All of the following are secretomotor to submandibular gland except?
1. Facial Nerve
2. Chorda Tympani
3. Mylohyoid Nerve
4. Lingual Nerve

Correct answer: 3. Mylohyoid Nerve